Defect in lipoprotein lipase enzyme leads to
1. Type I hyperlipoproteinemia
2. Type II a hyperlipoproteinemia
3. Type II b hyperlipoproteinemia
4. Type III hyperlipoproteinemia

Correct answer: 1. Type I hyperlipoproteinemia

Explanation: Defect in either lipoprotein lipase or its cofactor Apo C II leads to Type I hyperlipoproteinemia chylomicrons, VLDL gets elevated in the body.